The most common malignancy found in Marjolin's ulcer is
1. Basal cell carcinoma
2. Squamous cell carcinoma
3. Malignant fibrous histiocytoma
4. Neutrophic malignant melanoma

Correct answer: 2. Squamous cell carcinoma

Explanation: Marjolin's Ulcer Low grade SCC, which develops on a chronic benign ulcer or a long standing scar tissue Arises from the edge of the ulcer. Marjolin's ulcer may develop in Post burn scar Long standing venous ulcer Chronic ulcer due to trauma. Chronically discharging osteomyelitis sinus Post - radiation ulcer Ref: schwaz's principle of surgery 10th edition Pgno :259